Dilated pupil is seen in all of the follow ing EXCEPT
1. Papillitis
2. Optic atrophy
3. Acute glaucoma
4. Pontine haemorrhage

Correct answer: 4. Pontine haemorrhage

Explanation: (D) Pontine haemorrhage # Pupil in Acute congestive glaucoma - mid dilated, vertically oval non-reacting Absolute glaucoma -dilated pupil with painful, blind eye Acute cunjuctivitis - normal briskly reading Acute anterior uveitis -small irregular & sluggishly reacting